Ossification at two months:
1. Lunate
2. Capitate
3. Scaphoid
4. Hamate

Correct answer: 2. Capitate

Explanation: Ans. Capitate